Regarding yaws, all are true except:
1. Caused by T. pertenue
2. Sexually transmitted
3. Cross reactive antibodies with syphilis
4. Drug of choice is penicillin

Correct answer: 2. Sexually transmitted

Explanation: Ans. is 'b' i.e., Sexually transmitted(Ref: Anathnarayan, 9th/e, p. 370, 377 and 8th/e, p. 377; Harrison, 19th/e, p. 1132)Penicillin is the drug of choice for all treponematosis.Non Venereal Treponemes* Mode of transmission - Direct contact not sexual.* Endemic syphilis (Bejel) - Caused by T. pallidum subsp. endemicum.* Yaws - Caused by T. pallidum subsp. pertenue.* Pinta - Caused by T. pallidum subsp. carateum.* In Non-Venereal Treponematosis, Yaws and Pinta gives +ve for serological tests for syphilis.